Erythematous plaque with central scarring seen with?
1. Leishmaniasis
2. Tinea corporis
3. Lupus vulgaris
4. Molluscum contagiosum

Correct answer: 3. Lupus vulgaris

Explanation: Lupus Vulgaris (Most common type) - Erythemous/violaceous plaque with central scarring - On diascopy - Apple jelly nodules are seen at the periphery of lesionQ -Central clearing seen in : TineaQ -Central crusting seen in: LeishmaniasisQ -Central scarring seen in: Lupus vulgarisQ